Amino acid used in the synthesis of purines
1. Glycine
2. Ornithine
3. Alanine
4. Threonine

Correct answer: 1. Glycine

Explanation: Purine contains glycine at 7th position and amino gp of aspartate at 1st position. No other amino acids present.Ref: Textbook of biochemistry for medical students, seventh edition, page no: 563, fig: 43.10